Flexner-Wintersteiner rossette is seen in?
1. Hepatoblastoma
2. Nephroblastoma
3. Neuroblastoma
4. Retinoblastoma

Correct answer: 4. Retinoblastoma

Explanation: Ans. is 'd' i.e., Retinoblastoma